A VDRL reactive mother gave birth to an infant. All of the following would help in determining the risk of transmission to the infant, EXCEPT:
1. TPHA test on the serum sample of the mother
2. TPHA test on the serum sample of the infant
3. VDRL on the paired serum sample of the infant and mother
4. Time interval between the treatment of the mother and her delivery

Correct answer: 2. TPHA test on the serum sample of the infant

Explanation: The likely diagnosis of congenital syphilis is made on the basis of maternal serology and whether or not the mother has been adequately treated during pregnancy. Serological diagnosis of syphilis in neonates is not reliable. Ref: Infectious Diseases By Cohen, Powderly, 3rd Edition, Pages 7I8, 814, 815